Most common symptom of endometriosis is:
1. Dysmenorrhoea
2. Dyspareunia
3. Infertility
4. Abdominal pain

Correct answer: 1. Dysmenorrhoea

Explanation: Ans. A: Dysmenorrhoea Dysmenorrhoea is the most common symptom of endometriosis Endometriosis: MC site: Ovary Common in nullipara Choclate cyst Most widely accepted theory: Sampsons theory of retrograde menstruation MC manifestation: Pelvic pain Treatment: - Progesterone - Clomiphene (infertile women) - GnRH analogues (leupolide) Surgical procedure: Ovarian cystectomy/ oopherectomy/ wedge resection